Interval tonsillectomy is done following________ of quinsy drainage
1. 4-6 weeks
2. 4-6 months
3. 12 months
4. Any of the above

Correct answer: 1. 4-6 weeks

Explanation: Ans. a (4-6 weeks) (Ref: Diseases of ENT by PL Dhingra 2nd/pg. 261; 3rd/pg. 318)Tonsils are removed 4-6 weeks following an attack of Quinsy interval tonsillectomy,PERITONSILLAR ABSCESS (QUINSY)# Peritonsillar abscess (quinsy) is a complication of acute tonsillitis caused mainly by a mixed flora containing anaerobes and group A Streptococcus.# It is characterized by collection of pus between capsule of tonsils and superior constrictor muscle.# The typical scenario involves an ill-appearing patient with fever, sore throat, dysphagia, trismus, pooling of saliva, and muffled voice. The condition is generally unilateral and associated with prominent cervical lymphadenitis and deviation of the uvula. On examination, swelling of the anterior pillar of the tonsil and soft palate is commonly seen. Less commonly, the middle portion or lower pole of the tonsil is swollen.# Management includes needle drainage (patient should be in the Trendelenburg position), close monitoring, and intravenous antibiotics.# While draining it should be opened at the point of maximum bulge above upper pole of tonsil or just lateral to point of junction of anterior pillar, with a line drawn through the base of uvula.Quinsy tonsillectomy vs. Interval tonsillectomy# Quinsy tonsillectomy can be a treatment option in pediatric patients too young to withstand bedside aspiration or I & D for recurrent quinsy.# Quinsy tonsillectomy can be surgically easier than interval tonsillectomy as fibrosis has not had time to set into the tonsillar capsule.# Interval tonsillectomy can be considered after successful abscess drainage, usually from recurrent quinsy after 6 weeks.